All of the following may occur in Noonan\'s syndrome except –
1. Hypertrophic cardiomyopathy
2. Cryptoorchidism
3. Infertility in females
4. Autosomal dominant transmission

Correct answer: 3. Infertility in females

Explanation: Term 'Noonan Syndrome' has been applied to males and females who have some phenotypic features that resemble females with turner's syndrome (45 X O), but themselves have apparently normal sex chromosomes (46 XX or 45 XY).

Females usually show normal sexual maturation but it is delayed 2 years on an average.